Which of the following is a non cell cycle specific anticancer drug
1. Methotrexate
2. Paclitaxel
3. Etoposide
4. Cyclophosphamide

Correct answer: 4. Cyclophosphamide

Explanation: Cyclophamide is an alkylating agent which is a non cell cycle specific anticancer drug.